Definition of disease control is?
1. Agent is eliminated from community
2. Agent persists in community without causing health problem
3. Agent persists in community and causing pulic health problems
4. Any of the above

Correct answer: 2. Agent persists in community without causing health problem

Explanation: Ans. is 'b' i.e., Agent persists in community without causing health problem o In disease control, the disease agent is permitted to persist in the community at a level where it cease to be a public health problem according to the tolerance of local population. o A state of equilibrium becomes established between the disease agent, host and environment components of the disease process.